In hepatic metabolism, phase II reactions are:
1. Sulfation
2. Methylation
3. Glucuronidation
4. All of these

Correct answer: 4. All of these

Explanation: - Metabolic Reactions

   Phase 1 (non-synthetic) - Functional group is attached to the drug molecule.

§  Oxidation
§  Reduction
§  Hydrolysis
§  Cyclization
§  Decyclization

   Phase 2 (synthetic) - Conjugate is attached to the drug molecule.

§  Glucuronidation
§  Acetylation
§  Methylation
§  Sulfation
§  Glycine conjugation